Cortisol and GH are most dissimilar in their metabolic effects on which of the following?
1. Protein synthesis in muscle
2. Glucose uptake in peripheral tissues
3. Plasma glucose concentration
4. Mobilization of triglycerides

Correct answer: 1. Protein synthesis in muscle

Explanation: GH and cortisol have opposite effects on protein synthesis in muscle. GH is anabolic and promotes protein synthesis in most cells of the body, whereas cortisol decreases protein synthesis in extrahepatic cells, including muscle. Both hormones impair glucose uptake in peripheral tissues and therefore, tend to increase plasma glucose concentration. Both hormones also mobilize triglycerides from fat stores